A 57 year old female presented with short distance claudication. Peripheral aneurysm was suspected. Which of the following is the MOST common site of peripheral aneurysm?
1. Femoral artery
2. Radial artery
3. Popliteal artery
4. Brachial artery

Correct answer: 3. Popliteal artery

Explanation: Popliteal artery aneurysms account for 70% of peripheral arterial aneurysms. Popliteal aneurysms may embolize repetitively over time and occlude distal arteries. They are often undetected. The symptoms range from sudden onset pain and paralysis to short distance claudication that slowly lessens as collateral circulation develops. Ref: Rapp J.H., Owens C.D., Johnson M.D. (2013). Chapter 12. Blood Vessel & Lymphatic Disorders. In M.A. Papadakis, S.J. McPhee, M.W. Rabow (Eds), CURRENT Medical Diagnosis & Treatment 2013.